Which is the most common defectively produced antibody in multiple myeloma?
1. Ig G
2. Ig M
3. Ig A
4. Ig D

Correct answer: 1. Ig G

Explanation: Ref: Robbin's Pathology, 9th ed. pg. 598-99* The over production of light chains of IgG is the most common abnormality in multiple myeloma. In Waldenstrom cryoglobulinemia, IgM is overproduced.* Most common presentation of multiple myeloma is anemia >bone pain.* Least common presentation of multiple myeloma is hyperviscosity* Investigation of choice for multiple myeloma is bone marrow biopsy* Screening test for multiple myeloma is serum electrophoresis showing M spike* Most common cause of death in multiple myeloma is infections* Most common cause of kidney damage in multiple myeloma is hypercalcemia.